Birth length doubles by what age?
1. 1 year
2. 2 years
3. 3 years
4. 4 years

Correct answer: 4. 4 years

Explanation: Ans. (d) 4 yearsRef :O.P Ghai 8th ed 15TimeLengthAt birth50cms3 months60cms9 months75 cms2 years90 cms4 years100 cmsIndian children gain 5 cms height every year until 10 years of age.